Which of the following drugs is not used topically for treatment of open angle glaucoma -
1. Latanoprost
2. Brimonidine
3. Acetazolamide
4. Dorzolamide

Correct answer: 3. Acetazolamide

Explanation: Acetazolamide and Methazolamide are not recommended for long term use because of their side effects. However,acetazolamide 250mg tds may be added to control IOP for short term. Ref :Ophthalmology A K Khurana 6th edition chapter-10 page no :237